As a side effect the metabolic syndrome is most commonly associated with which of the following group of medications -
1. Anti-anxiety drugs
2. Anti-depressant drugs
3. Anti-psychotic drugs
4. Anti-cholinergic drugs

Correct answer: 3. Anti-psychotic drugs

Explanation: Ans. is 'c' i.e., Anti-psychotic drugs Metabolic syndrome (svndrome-X1 oRT Metabolic syndrome is a combination of medical disorders that increase the risk of developing cardiovascular disorder and diabetes. o The components of metabolic syndrome are obesity, insulin resistance (resulting in high insulin level), elevated serum triglyceride and LDL, low HDL and hypertension. o Antipsychotics can cause weight gain, diabetes and metabolic syndrome. o Antipsychotics commonly implicated are clozapine, olanzapine, chlorpromazine and thioridazine.